Best imaging modality in bronehogenic carcinoma-
1. CT
2. MR!
3. Bronchoscopy
4. None

Correct answer: 1. CT

Explanation: Ans. is 'a' i.e., CTo CT scan is the investigation of choice for pulmonary malignancy except for superior sulcus or pancoast tumor, where MRI is the investigation of choice.Investigations of choice in respiratory systemDiseaseInvestigationo Intersitial lung diseaseo BronchiectasisHRCTHRCT (1st choice)Bronchography (2nd choice)o Pulmonary embolismCT with i.v. Contrast (1st choice)V/Q scan (2nd choice)o Solitary pulmonary' noduleo Calcificationo Pulmonary malignancyo Superior sulcus or pancoast tumorCT scanCT scanCT scan (except in superior sulcus or pancoast tumor)MRI